A four-year-old child presents with mild fever, malaise, purpura, arthritis, abdominal pain and microscopic hematuria. What would be the most likely diagnosis
1. Thrombasthenia
2. Idiopathic thrombocytopenic
3. Systemic Lupus Erythematosus
4. Henoch-Schonlein purpura

Correct answer: 4. Henoch-Schonlein purpura

Explanation: Henoch-Schönlein purpura affects the small blood vessels of the skin, joints, intestines and kidneys. It's most common before the age of seven but can affect anyone.
Symptoms include reddish-purple spots on the lower extremities, swollen and sore joints, abdominal pain or bloody urine.
The condition is often treated with steroids